Which of the following tumours is associated with defect during gastrulation?
1. Wilm's tumour
2. Sacrococcygeal teratoma
3. Astrocytoma
4. None of the above

Correct answer: 2. Sacrococcygeal teratoma

Explanation: Sometimes, remnants of the primitive streak persist in the sacrococcygeal region. These clusters of pluripotent cells proliferate and form tumors, known as sacrococcygeal teratomas that commonly contain tissues derived from all three germ layers. This is the most common tumor in newborns, occurring with a frequency of one in 37,000. These tumors may also arise from primordial germ cells that fail to migrate to the gonadal ridge Ref: Langman's embryology 11th edition Chapter 5.